All can be used as endoscopic sclerosants in the treatment of variceal bleeding, except -
1. Polydochyl
2. Cynoaciylate
3. Alcohol
4. Acetic acid

Correct answer: 4. Acetic acid